Dementia is produced by deficiency of vitamin
1. Vitamin A
2. Vitamin D
3. Thiamine
4. Pyridoxine

Correct answer: 3. Thiamine

Explanation: (C) Thiamine # DEMENTIA is the progressive decline in cognitive function due to damage or disease in the brain beyond what might be expected from normal aging.> Although dementia is far more common in the geriatric population, it may occur in any stage of adulthood.> This age cutoff is by definition, as similar sets of symptoms due to organic brain dysfunction are given different names, such as developmental disorders, in populations younger than adulthood.> In dementia, affected areas in cognition may be memory, attention, language, and problem solving.> Especially in the later stages of the condition, affected persons may be disoriented in time (not knowing what day of the week, day of the month, or even what year it is), in place (not knowing where they are), and in person (not knowing who they are).> Symptoms of dementia can be classified as either reversible or irreversible depending upon the etiology of the disease. Less than 10 percent of cases of dementia are due to causes which may presently be reversed with treatment.